Which of the following infectious disease is transmitted through Rat?
1. Leptospirosis
2. Measles
3. Tetanus
4. Influenza

Correct answer: 1. Leptospirosis

Explanation: Leptospirosis is a zoonotic disease. Human to human transmission does not occur. The most important sources of transmission of infection to humans are rats, dogs, cattle, and pigs. Leptospira: They are tightly and regularly coiled with characteristic hooked ends. It is highly motile. The clinical hallmarks of this disease as an acute process IS characterized by splenomegaly, jaundice, and nephritis. Weil's disease is characterized by variable combinations of jaundice, acute kidney injury, hypotension, and hemorrhage. Ref: Harrison's Principles of Internal Medicine, 18th Edition, Chapter 171